HIV selectivly infects and destroys -
1. T4 cells
2. T3 cells
3. K cells
4. T10 cells

Correct answer: 1. T4 cells